Growth estimation is done by:
1. Frontal bone
2. Cervical vertebrae
3. Capitate
4. Clavicle

Correct answer: 2. Cervical vertebrae